Which of the following cytokines are anti-inflammatory in nature?
1. IL-4
2. IL-10
3. TGF-β
4. All of the above

Correct answer: 4. All of the above

Explanation: IL-4 and IL-6 are both pro and anti-inflammatory.
IL-10 and TGF-β are anti-inflammatory.